Which of the following statements about hydralazine is not true
1. It causes direct relaxation of blood vessels
2. It causes detection of both arterial and venous
3. Postural hypotension is not a common problem
4. It increases plasma renin activity

Correct answer: 2. It causes detection of both arterial and venous

Explanation: Hydralazine is a predominant arterial dilator that relaxes blood vessels by nitric oxide and opening potassium channels. There is compensatory increase in plasma renin activity with all vasodilators. Postural hypotension is predominantly caused by dilatation of veins and is not a significant feature of hydralazine